Prophylactic intracranial radiation is given to
1. Small cell carcinoma
2. Testicular carcinoma
3. Breast carcinoma
4. Gastric carcinoma

Correct answer: 1. Small cell carcinoma

Explanation: (Ref: doi:10.1634/theoncologist.5-4-293The Oncologist August 2000vol. 5 no. 4 293-298; Prophylactic Cranial Irradiation in Small-Cell Lung Cancer)